A young patient presented with blood pressure of 190/120 mm of Hg without any clinical symptom and fundus examination is normal, treatment of choice -
1. Oral Nitroglycerine
2. IV Nitroglycerine
3. Oral Enalapril
4. Sublingual short acting Nifedipine

Correct answer: 3. Oral Enalapril